Which of the following statement(s) is/are true about cysts in ovary except-
1. Follicular cyst is least common among functional cyst
2. Corpus luteal cysts are often associated with Pregnancy
3. Dermoid cyst are germ cell tumor
4. Fibroma of ovary is associated with Meig's syndrome

Correct answer: 1. Follicular cyst is least common among functional cyst

Explanation: Ans. a) Follicular cyst is least common among functional cyst Functional ovarian cysts :Benign mass in the ovaryThese cysts are:-Follicular cyst: Most common functional ovarian cyst. It is of small size, rarely is larger than 8 cm.Corpus luteum cyst: May be associated with pregnancy and persist upto 14 weeks as normal physiological structure.Theca lutein cysts: Least common of functional ovarian cysts. Usually bilateral and occur with pregnancy, including molar pregnancies. associated with multiple gestations, molar pregnancies, choriocarcinoma, diabetes, Rh sensitization, clomiphene citrate use, human menopausal gonadotropin-human chorionic gonadotropin ovulation induction, and the use of GnRH analogues.All teratomas, including benign mature teratoma (dermoid cyst), are germ cell tumors.Combination of an ovarian fibroma with ascites and hydrothorax (usually right sided) is known as Meig's syndrome.